Muscle which makes the angle of 51° to optical axis
1. Superior rectus
2. Superior oblique
3. Inferior rectus
4. All the above

Correct answer: 2. Superior oblique

Explanation: Obliques makes an angle of 51° to optical axis.